Which of the following antidiabetic drugs cause weight loss?
1. Metformin
2. SFU
3. Insulin
4. Nateglinide

Correct answer: 1. Metformin

Explanation: Metformin a biguanide and insulin sensitizer produce weight loss so drug of choice for type 2 DM with obesity. Also used in cases of Polycystic ovarian disease. Ref: HL, KK Sharma 3rd ed pg 646